What is the commonest aneuploidy seen in neonates born with single umbilical artery?
1. Trisomy 18
2. Trisomy 13
3. Trisomy 21
4. Trisomy 15

Correct answer: 1. Trisomy 18

Explanation: Single umbilical artery: - It is seen in 5-10/1,000 births & its frequency increases in twin births - 30% of these infants are associated with more than one congenital abnormalities; among which Trisomy 18 is most commonest - Though it is associated with increased risk for occult renal anomaly, if no other anomalies are present, need for renal USG is controversial